Bezold's abscess is located deep to:
1. Infratemporal region
2. Submandibular region
3. Sternomastoid muscle
4. Diagastric triangle

Correct answer: 3. Sternomastoid muscle

Explanation: Bezold's abscess is an abscess deep to the sternocleidomastoid muscle where pus from mastoiditis erodes through the cortex of the mastoid part of the temporal bone, medial to the attachment of sternocleidomastoid, extends into the infratemporal fossa, and deep to the investing layer of the deep cervical fascia.